Which of the following do NOT elevate the ribs?
1. Serratus posterior superior
2. Serratus posterior inferior
3. External intercostals
4. Levatores costarum

Correct answer: 2. Serratus posterior inferior

Explanation: Serratus posterior inferior does not elevate the ribsB D CHAURASIA'S HUMAN ANATOMY UPPER LIMB THORAX-VOLUME1 SIXTH EDITION Page-44